The process by which leukocytes are arranged along the endothelium is called:
1. Margination
2. Rolling
3. Diapedesis
4. Chemotaxis

Correct answer: 1. Margination

Explanation: Ans: a (Margination) Ref: Robbins, 7th ed, p.The sequence of events of leukocyte journey from vessel lumen to interstitial tissue is divided into the following steps.a) Margination: leukocyte accumulation along endothelial surface.b) Rolling: Tumbling of leukocyte along the endothelium with transient adherence.c) Adhesion: Attachment with the help of selectins & integrins.d) Diapedesis: Transmigration across the endotheliume) Migration: To a chemotactic stimulusEndothelial/Leukocyte adhesion moleculesEndotheliumLeucocyteMajor functionP. selectinSialyl Lewis XRollingE. selectinSialyl Lewis XRolling, adhesionICAM 1LFA1, MAC1AdhesionVC AM 1VLA4, LPAM1AdhesionCD31 (PECAM)CD31LeucocytetransmigrationGLYCAM 1, CD 34L selectinLymphocyte homing